Most commonly vertically transmitted organism of the following is?
1. Herpes simplex
2. CMV
3. Rubella
4. Human papilloma virus

Correct answer: 2. CMV

Explanation: ANSWER: (B) CMVREF: Harrison's 17edp. 48, Williams Obstetrics 22nd edition Chapter 58.InfectionsCytomegalovirus; this ubiquitous DNA herpesvirus eventually infects most humans. CMV is the most common cause of perinatal infection in the developed world, and evidence of fetal infection is found in from 0.2 to 2 percent of all neonates